Colombo plan is a plan of:
1. UNO
2. World Bank
3. Common Wealth countries
4. Government of Ceylon

Correct answer: 3. Common Wealth countries